A patient presents with freckling in axilla and inguinal area since childhood; which of the following is not an ophthalmological examination finding in such a patient?
1. Optic nerve glioma
2. Lisch nodules
3. Choroidal nevi
4. Aniridia

Correct answer: 4. Aniridia

Explanation: Ans. is 'd' i.e.. Aniridia o Axillary and inguinal freckling is a feature of neurofibromatosis type -1.Ocular manifestations of neurofibromatosis - 1 (Von Reeklingausen's disease)Neurofibromatosis may involve the eye extensivelyOrbitEye lidIrisCorneaAnteriorchamberFunduschoroidGlaucomaOrbit may be involved by one of the following Neural tumorso OpticNerve Gliomao Neurolemmomao Plexi form neurofibromao MeningiomaSDhen orbiral Encephaloceleo Caused by absence of greater wing of sphenoido Presents with pulsating proptosis without a bruit or thrillNeurofibromas of the eyelidy Nodulary Plexiformo Liseti nodules (Melanocytic hamartomas of the iris stroma)o Congenital ectropian uvea (uncommon)o Mami liations (Rare)Prominent corneal nervesAnterior chamber angle malformationsChoroidalNeviRetinalAstrocytomaso Glaucoma is relatively rareo Congenital and infantile glaucomas are common